Which of the following muscle helps in the flexion of hip joint?
1. Psoas
2. Piriformis
3. Pectoralis major
4. External oblique abdominis

Correct answer: 1. Psoas

Explanation: Flexors of hip: Psoas major and illiacus are the chief flexors of hip joint. Pectineus, rectus femoris, adductors and sartorius are the accessory muscles. Adductors mainly the adductor longus participate in the early stages of flexion. Ref: Snell's clinical anatomy, 7th Edition, Page 611.